Le forts operation is done in?
1. Young patient with utero-vaginalprolapse
2. Elderly patient with utero-vaginal prolapse
3. Multiparous with utero-vaginal prolapsed
4. Pregnant patient with utero-vaginal prolapsed

Correct answer: 2. Elderly patient with utero-vaginal prolapse

Explanation: Ans. (b) Elderly patient with utero-vaginal prolapseRef: Practical Gynacecolgy and Obstetrics by V. Padubidri p-47, Clinical Obstretics 10th Ed by S. Gopalan, Sarala& Jain, Vanita p 275, Danforth's 10th ed p-867, Current OB/ GYN ch-44 Pelvic Organ Prolapse, Shaw 14thed p-308